Total Parental Nutrition includes all of the following, except:
1. Lipids
2. Carbohydrates
3. Proteins
4. Fibers

Correct answer: 4. Fibers

Explanation: Dietary fibres are not provided through Total Parental Nutrition(TPN). Ref: Dr Podcast Scripts for the Final FRCA By Rebecca A. Leslie, Page86; Bailey & Love 25th Edition, Page 231; Manipal manual of surgery 3rd Edition,Page 174, 175; Infusion Therapy in Clinical Practice (Elsevier) 2nd Edition, Page 226; Critical Care Medicine: The Essentials (Lippincot- Williams) 4th Edition, Page 295.